Chemoprophylaxis is done for all except -
1. Cholera
2. Taeniasis
3. Malaria
4. Leprosy

Correct answer: 2. Taeniasis

Explanation: Ans. is b' i.e., Taeniasis Option d' requires some explanation o Dapsone and acedapsone have found to be effective for chemoprophylaxis of leprosy. However the general applicability of chemoprophylaxis as a means of preventing leprosy and its control is still to be determined.